The reduced enamel epithelium proliferates and seems to induce atrophy of the connective tissue separating it from the oral epithelium in
1. Protective stage
2. Desmolytic stage
3. Organizing stage
4. Maturation stage

Correct answer: 2. Desmolytic stage

Explanation: The reduced enamel epithelium proliferates and seems to induce atrophy of the connective tissue separating it from the oral epithelium, so that fusion of the two epithelia can occur.